The following is not a feature of malignant transformation by cultured cells
1. Increased cell density
2. Increased requirement for growth factors
3. Alteration of cytoskeletal structures
4. Loss of anchorage

Correct answer: 2. Increased requirement for growth factors

Explanation: Malignant cells do not require stimulation by growth signals. they have capacity to proliferate without it.